Valve of heister is seen in ?
1. Cystic duct
2. Common bile duct
3. Common hepatic duct
4. Pancreatic duct

Correct answer: 1. Cystic duct

Explanation: The mucous membrane of the cystic duct forms a series of 5-12 crescentic folds, arranged spirally to form the so called spiral valve of Heister. This is not a true valve.